Main site of peripheral vascular resistance is
1. Pre-Capillary arterioles
2. Pre-Capillary sphincters
3. Capillaries
4. Windkessel vessels

Correct answer: 1. Pre-Capillary arterioles

Explanation: Arterioles are the chief site of vascular resistance.